Tzank smear is prepared for ?
1. Leprosy
2. Varicella
3. Fungus
4. Atopic dermatitis

Correct answer: 2. Varicella

Explanation: Ans. is 'b' i.e., Varicella Tzank smear findings in bullous disorders Disorders Findings Pemphigus Bullous pemphigoid Varicella-zoster infection Herpes simpex infection Toxic epidermal necrolysis Acantholysis Predominantly eosinophils Multinucleated giant cells Multinucleated giant cells Necrotic cells